Most common metabolic complication of gastrectomy is
1. Iron deficiency anemia
2. Megaloblastic anemia
3. Hypocalcemia
4. Osteoporosis

Correct answer: 1. Iron deficiency anemia

Explanation: Nutritional disorders are common after gastrectomy. Weight loss is common after gastrectomyAnaemia may be due toeither iron or vitamin B12 deficiency.Iron-deficiency anaemia occurs after both gastrectomy and vagotomy and drainage. Reduced iron absorption is probably the most important factor, although the loss of blood from the gastric mucosa may also be important. Vitamin B12 deficiency is prone to occur after total gastrectomy. However, because of the very large vitamin B12 stores that most patients have, this maybe very late in occurring.Bone disease is seen principally after gastrectomy and mainly in women. The condition is essentially indistinguishable from the osteoporosis commonly seen in post-menopausal women.Bailey and love pg: 1127